Spirometry cannot measure -
1. RV
2. TV
3. IRV
4. ERV

Correct answer: 1. RV

Explanation: Ans. is 'a" i.e., RV o Spirometry can measure :- Tidal volume (TV), inspiratory reserve volume (IRV), expiratory' reserve volume (ERV), vital capacity (VC), forced vital capacity' (FVC), FEV,.o Spirometry cannot measure :- Residual volume (RV), functional residual capacity (FRC), total lung capacity' (TLC).